Periphery and posterior of retina is best visualized with:
1. Direct ophthalmoscopy
2. Indirect ophthalmoscopy
3. Retinoscopy
4. USG

Correct answer: 2. Indirect ophthalmoscopy

Explanation: Indirect ophthalmoscopy